Most infective stage of leprosy is?
1. Tuberculoid
2. Lepromatous
3. Borderline tuberculoid
4. Borderline lepromatous

Correct answer: 2. Lepromatous

Explanation: ANSWER: (B) LepromatousREF: Rook's 7th ed p. 29.1-29.19Most infectious stage of leprosy: lepromatousCM I most depressed in: lepromatousSingle skin lesion found in: tuberculoidSatellite lesions: borderline tuberculoidInverted saucer lesions: BB>BL